Non regenerative layer of Cornea is
1. Epithelium
2. Bowman's membrane
3. Connective timer stroma
4. Descement membrane

Correct answer: 2. Bowman's membrane

Explanation: Non regenerative layer of Cornea is Bowman's membrane.